While giving IANB nerve block, postoperatively the patient complains of trismus due to:
1. Injection into buccinator
2. Injection into parotid capsule
3. Injection into medial pterygoid
4. Paralysis of nerve

Correct answer: 3. Injection into medial pterygoid

Explanation: Trismus is inability to open mouth due to muscle spasm. It is caused by injection into medial pterygoid muscle resulting in hematoma formation or infection. The application of heat and administration of antibiotics relieve the symptoms.